PQLI included are -a)  Literacyb)  Infant mortalityc)  Incomed)  Life expectancy at birth
1. ac
2. ab
3. abc
4. c

Correct answer: 2. ab

Explanation: Life expectancy at 1 year (not at birth) is included